A most common cause of bone malignancy-
1. Secondaries
2. Osteosarcoma
3. Ewing's sarcoma
4. Osteoclastoma

Correct answer: 1. Secondaries

Explanation: Metastatic bone disease is the commonest malignancy of bones and is much more common than primary bone tumours